Trotter's triad includes all of the following Except -
1. Mandibular neuralgia
2. Deafness
3. Palatal palsy
4. Seizures

Correct answer: 4. Seizures

Explanation: Trotter's triad

Trotter's triad occurs in nasopharyngeal carcinoma
It includes:-


Conductive deafness (due to Eustachian tube blockage)
Temporo - parietal neuralgia (due to the involvement of ipsilateral Vth cranial nerve)
Palatal paralysis (due to involvement of Xth cranial nerve)